Sirtuins are associated with ?
1. Antioxidant mechanism in body
2. Logetivity of life span
3. Regeneration of liver after partial resection
4. Carcinogenesis in human

Correct answer: 2. Logetivity of life span

Explanation: Ans. is 'b' i.e., Logetivity of life span